Surfactant lining the alveoli
1. Helps prevent alveolar collapse.
2. Is produced in alveolar type I cells and secreted into the alveolus.
3. Is increased in the lungs of heavy smokers.
4. Is a glycolipid complex.

Correct answer: 1. Helps prevent alveolar collapse.

Explanation: The low surface tension when the alveoli are small is due to the presence in the fluid lining the alveoli of surfactant, a lipid surface-tension-lowering agent. If the surface tension is not kept low when the alveoli become smaller during expiration, they collapse in accordance with the law of Laplace.